Agar impression materials differ from alginate impression materials in that the former sets by:
1. Mechanical action of saliva
2. Physical change
3. Evolution
4. Chemical change

Correct answer: 2. Physical change